Tretment of pernicious anemia patient with folic acid will improve all except
1. Nervous lesions
2. Blood picture
3. Changes in gut
4. General symptoms

Correct answer: 1. Nervous lesions

Explanation: B 12 resevers will be used up for rbc maturation leaving less of neuronal fuction leading to nerve lesions